Carhart's notch in an audiogram represent which of the following deepest frequency?
1. 0.5 KHz
2. 2 KHz
3. 4 KHz
4. 8 KHz

Correct answer: 2. 2 KHz

Explanation: Carhart's notch is seen in patients with otosclerosis. It is a dip in the bone conduction curve seen maximally at 2 KHz region. It disappears after successful stapedectomy.